In chronic renal failure which one is contraindicated?
1. Furosenmide
2. Ethacrynic acid
3. Triamterenc
4. Bumetanide

Correct answer: 3. Triamterenc

Explanation: Ans. is 'c' Triamterene o K+ spring diuretics can cause serious hyperkalemia when renal function is inadequate.